In scurvy all the following radiological signs are seen except:
1. Pelican spur
2. Soap bubble appearance
3. Zone of demarcation near epiphysis
4. Frenkel's line

Correct answer: 2. Soap bubble appearance

Explanation: B i.e. Soap Bubble appearanceSoap bubble appearanceQ is characteristic of giant cell tumor